A young patient with dysphagia more for liquids than solids. He regurgitates food often at night. Radiography shows a rat tailed appearance. Likely diagnosis is :
1. Achlasia cardia
2. CA oesophagus
3. Zenker's diverticulum
4. Diffuse esophageal spasm

Correct answer: 1. Achlasia cardia

Explanation: Answer is A (Achlasia cardia) Presence of dysphagia which is more for liquids than for solids along with a characteristic rat tail appearance on radiography in a young patient suggests the diagnosis of aehalasia. Malignancy (CA esophagus) usually presents with dysphagia which is more for solids than for liquids and is seen in the elderly. Zenker's diverticulum and esophageal spasm do not show a rat tail appearance on radiography.